Type of seizures in Eclampsia
1. Focal seizures
2. Absence seizures
3. Generalised Tonic-Clonic Seizures
4. Myoclonic seizures

Correct answer: 3. Generalised Tonic-Clonic Seizures

Explanation: Eclampsia is an extremely severe form of preeclampsia characterized by the sudden onset of generalized tonic-clonic seizures.Reference: Reference: Practical guide to High-risk pregnancy and delivery; Chapter 16; Hypertensive DIsorders of Pregnancy